Following reactions are produced by heterophile antigens, except
1. Forssman antigen antibody reaction
2. Weil-Felix reaction
3. Paul bunnel reaction
4. Widal reaction

Correct answer: 4. Widal reaction